The efferent fiber bundle of substantia nigra transmits dopamine to which area
1. Thalamus
2. Corpus striatum
3. Tegmentum of pons
4. Tectum of midbrain

Correct answer: 2. Corpus striatum

Explanation: The connections within the basal ganglia include a dopaminergic nigrostriatal projection from the substantia nigra pars compacta to the striatum and a GABAergic projection from the striatum to substantia nigra pars reticulata. There is an inhibitory projection from the striatum to both GPe and GPi. The subthalamic nucleus receives an inhibitory input from GPe, and in turn, the subthalamic nucleus has an excitatory (glutamate) projection to both GPe and GPi.